NSAID used commonly for topical ocular use is-
1. Ibuprofen
2. Aceclofenac
3. Ketorolac
4. Acetaminophen

Correct answer: 3. Ketorolac

Explanation: (Refer: AK Khurana Comprehensive Ophthalmology, 6th edition, pg no. 454 – 455)
Commonly used topicalocular NSAIDS

Ketorolac
Flurbiprofen
Diclofenac sodium